All of the following are seen in the Horner’s syndrome, except :
1. Drooping of upper eyelid
2. Enophthalmos
3. Dilated pupil
4. Loss of sweating of same sides of face

Correct answer: 3. Dilated pupil